Ophthalmia neonatorum is caused by
1. Gonorrhea
2. Staphylococcus aureus
3. Chlamydia
4. All of the above

Correct answer: 4. All of the above

Explanation: Other causes of ophthalmia neonatorum are herpes simplex and chemical conjunctivitis Refer: Khurana 6th edition page number76